All the statements are True regarding Selexipag except?
1. Selective IP receptor antagonist
2. Prostacyclin receptor agonist
3. Used in Pulmonary Hypertension
4. Adverse effects of Selexipag are similar to those of PGI2 analogues

Correct answer: 1. Selective IP receptor antagonist

Explanation: Selexipag is an orally active, Selective IP receptor agonist(Prostacyclin Receptor Agonist) . Selexipag has shown to reduce Morbidity and Mortality in patients with Pulmonary HT . A/E : similar to those of PGI2 analogues and include headache, jaw pain, nausea, dizziness, flushing, nasopharyngitis and vomiting. Adverse effects appear to be more common when the drug is taken while fasting . MOA :